Sampling method used in assessing immunization status of children under immunization programme is-
1. Systemic sampling
2. Stratified sampling
3. Group sampling
4. Cluster sampling

Correct answer: 4. Cluster sampling

Explanation: Cluster sampling . Reference: Simple Biostatistics by Indeayan & Indrayan,1st edition,pg no:35-36 and Methods in Biostatistics by Mahajan,7 th edition,pg no:91.